True about H. pylori
1. Gram +ve spiral organism
2. It is a protozoa
3. Causes chronic gastritis in adults due to re-infection
4. Treatment causes regression of gastric lymphoma

Correct answer: 4. Treatment causes regression of gastric lymphoma